All of the following statements about alpha -glucosidase inhibitors are true except
1. Reduces intestinal absorption of carbohydrates
2. Effective in both type 1 and 2 diabetes
3. Hypoglycemia is a common and serious side effect
4. Can be used with other oral hypoglycemic agents

Correct answer: 3. Hypoglycemia is a common and serious side effect

Explanation: Refer KDT 6 /e p 270 *hypoglycemia is caused by the drugs stimulating the release of insulin Biguanides ,alpha glucosidase inhibitors and thiazolidinediones act by other mechanisms bad thus are less likely to cause hypoglycemia